At the altitude of 6500 meters, the atmospheric pressure is 347 mmHg. What is the inspired PO2.
1. 73 mm Hg
2. 63 mm Hg
3. 53 mm Hg
4. 83 mm Hg

Correct answer: 2. 63 mm Hg

Explanation: According to law of partial pressures : Pressure exerted by a gas in a mixture is directly proportional to its concentration in the mixture. In inspired gases; 20 % = O2 78% = N2 PH2O = 47 mmHg (air humidified with inspiration) =347 - 47 = 300 mmHg = gaseous component